Tegmen tympani separates middle ear from:
1. Anterior cranial fossa
2. Posterior cranial fossa
3. Middle cranial fossa
4. Superior cranial fossa

Correct answer: 3. Middle cranial fossa

Explanation: Ans. (c) Middle cranial fossaReft Dhingra's ENT 6th edj 5* Roof of middle ear is formed by tegmen tympani, a very thin plate of bone.* It separates middle ear from middle cranial fossa.